Strongest bond out of the following is :
1. Electrostatic
2. Hydrogen
3. Hydrophobic
4. Vanderwall's

Correct answer: 1. Electrostatic

Explanation: A i.e. Electrostatic